A 64-year-old man has had recurring nasal hemorrhages following surgery to remove nasal polyps. To control the bleeding, the surgeon is considering ligating the primary arterial supply to the nasal mucosa. This artery is a direct branch of which of the following arteries?
1. Facial artery
2. Maxillary artery
3. Superficial temporal artery
4. Superior labial artery

Correct answer: 2. Maxillary artery

Explanation: The major source of blood supply to the nasal mucosa is the sphenopalatine artery, which is the terminal branch of the maxillary artery. The sphenopalatine artery enters the nasal cavity from the pterygopalatine fossa by passing through the sphenopalatine foramen in the lateral wall of the nasal cavity. The facial artery is a direct branch of the external carotid artery. It provides most of the blood supply to the superficial face. The superficial temporal artery is a terminal branch of the external carotid artery. The other terminal branch is the maxillary artery. The superficial temporal artery provides blood supply to the temporal region and the lateral portion of the scalp. The superior labial artery is a branch of the facial artery. The superior labial artery provides blood supply to the upper lip. It has a septal branch that provides some of the blood supply to the anterior portion of the septal mucosa of the nasal cavity. However, this is not the major blood supply to the nasal cavity.